Nasolacrimal duct opens into
1. Superior
2. Inferior meatus
3. Middle
4. Sphenoethmoid recess

Correct answer: 2. Inferior meatus

Explanation: Nasolacrimal duct begins at the lower end of the lacrimal sac, runs downwards, backward and laterally, opens into the inferior meatus the nose. Fold of mucous membrane called the valve of Hasner forms an imperfect valve at the lower end of the duct. Ref.BDC volume 3;sixth edition pg no 77